An alcoholic presented with globus sensation in throat, cough and hoarseness. Larynx examination shows pseudosulcus in larynx. Pseudosulcus is seen in:
1. Vocal abuse
2. Tuberculosis
3. Laryngopharyngeal reflux
4. Chronic steroid use

Correct answer: 3. Laryngopharyngeal reflux

Explanation: Pseudosulcus is edema of the under surface of vocal cords giving a false impression of a sulcus vocalis; due to acid reflux into the larynx in laryngopharyngeal reflux (LPR). Laryngeal findings in LPR: Vocal cord granuloma or pseudo sulcus vocalis Posterior laryngeal hypertrophy Laryngeal edema and erythema Cobblestoning Posterior commissure bar